Which of the following drug binds only with the anionic site of cholinesterase ?
1. Physostigmine
2. Neostigmine
3. Edrophonium
4. Pyridostigmine

Correct answer: 3. Edrophonium

Explanation: Physostigmine, neostigmine and pyridostigmine are carbamates by chemical nature, they bind to both esteritic as well as anionic site whereas edrophonium is an alcohol and binds to anionic site only.